A 62 year old male patient presented with paraplegia, bilateral thermoanesthesia and analgesia below the level of the umbilicus, and loss of bowel and bladder movements. However, the proprioception and vibration senses are intact. Spinal angiography revealed thrombus in the anterior spinal artery. Which of the following regions of the spinal cord is likely to be affected?
1. Whole segment of spinal cord
2. Anterior 1/3rd of the spinal cord
3. Anterior 2/3rd of the spinal cord
4. Anterior 1/2 of the spinal cord

Correct answer: 3. Anterior 2/3rd of the spinal cord

Explanation: Thrombosis of the anterior spinal artery affects the anterior 2/3rd of the spinal cord. The spinal cord is supplied by the longitudinal arteries and segemental arteries. The longitudinal arteries are: Anterior Spinal artery: It supplies anterior 2/3rd of the cord. Occlusion of the anterior spinal artery causes: Bilateral paraplegia below the level of lesion due to damage to bilateral corticospinal tracts. Bilateral thermoanesthesia and analgesia below the level of lesion due to damage to bilateral spinothalamic tracts. Weakness of limb muscles due to damage to bilateral anterior grey horns in cervical or lumbar regions of the cord. Loss of bowel and bladder functions due to damage to the descending autonomic tracts. Sense of position , vibration, and fine touch are intact as the posterior white column is unaffected, which is supplied by the posterior spinal artery. Posterior spinal artery: Its posterior 1/3rd of the cord. Occlusion of the posterior spinal artery causes: Loss of sensation of position, vibration and fine touch due to damage to the bilatera; posterior white columns. The corticospinal tracts, spinothalamic tracts, anterior grey horns, and descending autonomic tracts are unaffected, as they are supplied by the anterior spinal artery. The segmental arteries are branches of arteries outside the vertebral column. The segmental arteries give rise to anterior and posterior radicular arteries. These segmental arteries are branches of Deep cervical artery Intercostal artery Lumbar artery Ref: Snell's Clinical Neuroanatomy 8th edition Pgno: 472